Calcium channel blockers in anaesthesia, True is –
1. Needs to be decreased as they augment hypotension & muscle relaxation
2. Withheld because they lower LES pressure
3. Should be given in normal doses as they prevent MI & angina
4. All of the above

Correct answer: 3. Should be given in normal doses as they prevent MI & angina

Explanation: All antianginal drugs (including calcium channel blockers) should be continued as such and morning dose should be taken with a sip of water.